Anterior fontanelle closes by:
1. 6 months
2. 1 year
3. 2 years
4. 3 years

Correct answer: 3. 2 years

Explanation: Ans. 2 years